Life span of Cu-T- 380A
1. 10 years
2. 20 years
3. 1 years
4. 5 years

Correct answer: 1. 10 years

Explanation: Cu-T- 380A is approved for 10 years but it has been demonstrated to maintain its efficacy for at least 12 years of use Reference : Park's textbook of preventive and social medicine, 23rd edition, Page no: 497